Study of alcohol intake for 20 years and occuring of liver disease is a type of
1. Cohort study
2. Case control study
3. Ecological study
4. RCT

Correct answer: 1. Cohort study